Examples of X linked dominant inheritance are all except:
1. Colour blindness
2. Hypophosphatemic type of vitamin D resistant rickets
3. Orofaciodigital syndrome
4. Incontinentia pigmenti

Correct answer: 1. Colour blindness

Explanation: Ans. A. Colour blindness is X linked recessive inheritance.Dominant X linked conditions are rare, both the heterozygous female and Hemizygous males are affected. All the sons of affected males are normal and all the daughters are affected. The affected females transmit the disease to half of the sons and half of the daughters.